Pseudoparalysis in an infant is suggestive of –
1. Acute Rheumatic fever
2. Vitamin B6 deficiency
3. Vitamin E deficiency
4. Vitamin C deficiency

Correct answer: 4. Vitamin C deficiency

Explanation: Pseudoparalysis 

A voluntary restriction of motion because of pain, incordination or other cause, but not due to actual muscular paralysis.

Causes of pseudoparalysis

Scurvy (vitamin C deficiency)                o Osteomyelitis
Septic (arthritis)                                          o Congenital syphilis